Green colour urine is found in:
1. Oxalic acid
2. Hematuria
3. Carbolic acid
4. Chyluria

Correct answer: 3. Carbolic acid

Explanation: Ans. (C). Carbolic acid(Ref: The Essentials of Forensic Medicine and Toxicology by KS Narayan Reddy. 29th edition 2010. Pg:478)Urine colourConditionsGreenCarboluriaQRed* Haematuria* Myoglobinuria- there will be a brownish-red colour.* Haemoglobinuria- with intravascular HEMOLYSIS* "Pink diaper syndrome"- there is a pinkish discolouration on the diaper secondary to urate crystals in the urine.Vin rose* Use of Deferoxamine will cause vin rose coloured urine if serum Fe is elevated.Brown or black* Nitric acid poisoningQ* Haemoglobin* Nitrofurans* Alkaptonuria- on standing, the urine will turn a dark colour.Blue* Presence of indigo or of methylene blueQMilky or cloudy* Pus cells and bacteria in the urine* ChyluriaOrange coloured* Rifampicin